In a granuloma epithelioid cells are giant cells and derived from
1. T lymphocytes
2. Monocyte-macrophages
3. B lymphocytes
4. Mast cells

Correct answer: 2. Monocyte-macrophages